Least radiation exposure occurs in:
1. MRI
2. CT scan
3. Arthrography
4. OPG

Correct answer: 1. MRI